Most common cause of myelophthisic anaemia -
1. Multiple myeloma
2. NHL
3. Leukaemia
4. Multiple secondaries

Correct answer: 4. Multiple secondaries